Poor man's Iron source is:-
1. Almond
2. Grapes
3. Soya
4. Jaggery

Correct answer: 4. Jaggery

Explanation: Jaggery - Poor man's Iron source Other Good sources of iron include:- Dried pumpkin seeds (Richest)- Liver- Meat, fish and tofu.- Iron-foified breakfast cereals or breas. - Eggs.- Pulses and beans- Nuts and seeds.- Dried fruit - such as dried apricots, prunes and raisins. - Whole grains - such as brown rice.